Main lipid component of chylomicrons is
1. Triacylglycerols
2. Phospholipids
3. Cholesterol
4. Free fatty acids

Correct answer: 1. Triacylglycerols

Explanation: Plasma lipids consist of triacylglycerols (16%), phospholipids (30%), cholesterol (14%), and cholesteryl esters (36%) and a much smaller fraction of unesterified long-chain fatty acids (free fatty acids or FFA) (4%). The FFA is metabolically the most active of the plasma lipids. Lipoprotein Source Main Lipid Components Apolipoproteins Chylomicrons Intestine Triacylglycerol A-I, A-II,A-IV, B-48, C-I, C-II, C-III, E Chylomicron remnants Chylomicrons Triacylglycerol, phospholipids, cholesterol B-48, E VLDL Liver (intestine) Triacylglycerol B-100, C-I, C-II, C-III IDL VLDL Triacylglycerol, Cholesterol B-100, E LDL VLDL Cholesterol B-100 HDL Liver, intestine, VLDL, chylomicrons Phospholipids, cholesterol A-I, A-II, A-IV, C-I, C-II, C-III, D, E Albumin/free fatty acids Adipose tissue Free fatty acids Reference: Harper; 30th edition; Page no: 254